Treatment of choice for Hairy cell leukaemia ?
1. IFNX
2. Splenectomy
3. Cladribine
4. None

Correct answer: 3. Cladribine

Explanation: Cladribine or 2-chlorodeoxyadenosine is a purine analogue that targets lymphocytes & selectively supress immune system.It is used to treat hairy cell leukaemia .Reference :Davidson's principles & practice of medicine 22nd edition pg no 1041.